All of the below statements are true about papilledema, EXCEPT:
1. Extracellular edema
2. Disruption of neurofilament
3. Stasis of axoplasmic flow
4. Axonal swelling

Correct answer: 2. Disruption of neurofilament

Explanation: In papilledema, the alteration in the pressure gradient across the lamina cribrosa causes stasis of axoplasmic flow which in turn causes venous congestion, axonal swelling, and extracellular edema. Ref: Parson's Diseases of the Eye, 20th Edition, Page 330; Ophthalmology: A Pocket Textbook Atlas By Gerhard K. Lang, 2007, Page 382.